Which of the folloiwng is an indication for the use of corticosteroids?
1. Psychosis
2. Herpes simplex
3. Loeffler's syndrome
4. All

Correct answer: 3. Loeffler's syndrome

Explanation: Ans. is `c i.e. Loeffler's syndrome o Actually corticosteroids are used both in Loeffler syndrome (Eosinophilic pneumonia) and subacute thyroiditis. o However, in subacute thyroiditis it is used very rarely when there is extreme pain. On the other hand corticosteroids are commonly used in Loeffler syndrome as they provide dramatic relief. Therefore, Loeffler syndrome is best answer. o Psychosis and Herpes kertitis are contraindications for corticosteroids.